. Bilateral parotid enlargement occurs in all,except -
1. Sjogren's syndrome
2. SLE
3. Sarcoidosis
4. Chronic pancreatitis

Correct answer: 2. SLE